Vibration is sensed by which of the following skin receptor?
1. Meissner's corpuscle
2. Merkel's disc
3. Pacinian corpuscle
4. Ruffini's corpuscle

Correct answer: 3. Pacinian corpuscle